Lowest frequency of twin pregnancy is seen in:
1. Nigeria
2. Philippines
3. India
4. Japan

Correct answer: 4. Japan

Explanation: Lowest frequency of twin pregnancy is seen in Japan(2/1000). Reference:Textbook of obstetrics,Sheila Balakrishnan,2nd edition,page no:178.